A 26 year old female patient presented with oral ulcers, sensitivity to light and rash over the malar area of the face sparing the nasolabial folds of both side.which of the following indicates the condition associated
1. SLE
2. Psoriasis
3. Dermatitis
4. Sturge weber syndrome

Correct answer: 1. SLE

Explanation: SLE:- * Systemic lupus erythematosus (SLE) is a chronic disease that can affect any organ system. * Its clinical manifestations are highly variable, ranging from chronic to fulminant. * Cutaneous lupus erythematosus (CLE) is the second most common finding of SLE. * In a majority of cases, CLE is the main and sometimes the only feature of the disease independent of systemic involvement. The most common acute SLE rash is malar rash is a photosensitive, slightly raised erythema, occasionally scaly, on the face (particularly the cheeks and nose--the "butterfly" rash), ears, chin, V region of the neck and chest, upper back, and extensor surfaces of the arms. Worsening of this rash often accompanies flare of systemic disease. Ref:- Harrison's Principles of Internal Medicine 20th edition; Pg num:- 2519